Destruction of fat in acute pancreatitis is due to ?
1. Lipase and elastase
2. Lipase and trypsin
3. Secretin
4. Cholecystokinin and trypsin

Correct answer: 2. Lipase and trypsin

Explanation: Ans. is `b' ie Lipase and trypsinAn enzyme activated by trypsin is phospholipase A2. This enzyme splits a fatty acid off lecithin, forming lysolecithin. Lysolecithin damages cell membrane. It has been hypothesized that in acute pancreatitis phaspholipase A2 is activated in the pancreatic ducts, with formation of lysolecithin from lecithin that is normal constituent of bile. This cause disruption of pancreatic tissue and necrosis of surrounding fat.